Mortality statistics are taken into account while calculating
1. GER
2. NRR
3. TFR
4. GMFR

Correct answer: 2. NRR

Explanation: Net reproduction rate is defined as the number of daughters a newborn girl will bear during her life time assuming fixed age specific fertility and mortality rates NRR is a demographic indicator NRR of 1 is equivalent to attaining approximately the 2 child norm Reference : Park's textbook of preventive and social medicine, 23rd edition, Page no: 489